Most commonly gas used in Laparoscopy is
1. Oxygen
2. Carbondioxide
3. Nitrous oxide
4. Room air

Correct answer: 2. Carbondioxide

Explanation: B. i.e. (Carbon - dioxide) (560 - Dutta 4th) (217- Shaw's 14th)* Pneumoperitoneum - Most commonly used gas is carbon dioxide (1L - 4L)* For diagnostic purposes nitous oxide or room air or oxygen can be used* CO2 is safer than air and nitrous oxide which can cause air embolism and accidental explosion respectively* The flow rate of the gas is about 1 L/minutc with a pressure not exceeding 20 mm HgCONTRAINDICATIONS OF LAPAROSCOPY* Severe cardiopulmonary disease* Extensive peritoneal adhesion* Patient haemodynamically unstable* Large pelvic tumour* Generalized peritonitis* Pregnancy > 16 weeks* Significant haemoperitoneum* Previous periumbilical surgery (relative)* Intestinal obstruction* Extreme obesity